Regular reporting of health information is used for all of the following, Except –
1. For planning, administration and effective management of health services
2. For epidemiological research
3. For assessing attitudes and satisfactions of people reporting information
4. For quantifying health problems and assessing health care needs

Correct answer: 3. For assessing attitudes and satisfactions of people reporting information

Explanation: Use of Health Information :


To measure the health status of the people and to quantify their health problems and medical and health care needs.
For local, national and international comparisons and health status. For such comparisons the data need to be subjected to rigorous standardization and quality control.
For planning, administration and effective management of health services and programmes.
For assessing whether health services are accomplishing their objectives in terms of their effectiveness and efficiency.
For assessing the attitudes and degree of satisfaction of the beneficiaries with the health system, and
For research into particular problems of health and disease.


Regular Reporting of health information is used for assessing attitude and satisfaction of the beneficiaries with the health system and not for assessing attitudes/satisfaction of people reporting information.